Disease which does not come under Integrated Disease Surveillance Project is:
1. Tuberculosis
2. Meningoencephalitis
3. Cholera
4. Herpes Zoster

Correct answer: 4. Herpes Zoster

Explanation: Herpes Zoster